Newborns have transplacentally acquired immunity against all of the following diseases except -
1. Measles
2. Pertusis
3. Diphteria
4. Poliomyelitis

Correct answer: 2. Pertusis

Explanation: Ans. is 'b' i.e., Pertusis